Dukoral vaccine is used for-
1. Typhoid
2. Cholera
3. Yellow fever
4. Influenza

Correct answer: 2. Cholera

Explanation: Ans. is 'b' i.e., Cholera Cholera vaccines o Cholera vaccines are :- 1. Killed vaccines # The vaccine contains 6000 million each of classical Ogawa and Inaba Serotypes (total 12000 million vibrios) in 1 ml saline suspension. # Two doses are given subcutaneously at 1-4 weeks interval. Protective value is 50% for 3-6 months. 2. Oral vaccines # Two types of oral cholera vaccines are available : - i) Dukoral (WC-rBS) o Dukoral is a monovalent vaccine based on formation and heat-killed whole cells (WC) of V. cholerae 01 (classical and El Tor, Inaba and Ogawa) plus recombinant cholera toxin B Subunit o The vaccine is provided in 3 ml. single dose vials together with the bicarbonate buffer o Primary immunization consists of 2 oral doses given > 7 days apart (but < 6 weeks apart) for adults and children aged > 6 years. o Children aged 2-5 years should receive 3 doses. o Intake of food and water should be avoided for 1 hour before and after vaccination o 1 booster dose is recommended after 2 years for adults aged 2-5 years and children aged > 6 years. For children aged 2-5 years, 1 booster dose is recommended every 6 months o Dukoral is not licensed for children < 2 years ii) Sanchol and mORC VAX o It is Bivalent oral vaccine based on serogroups 0-1 and 0-139. Unlike Dukoral, these vaccines do not contain the bacterial toxin B Subunit. o The vaccine is given in 2 doses 14 days apart for individuals > 1 year, a booster dose is recommended after 2 years. # The live attenuated single dose vaccine (CVD 103-HgR) is no longer produced.